'Bird of prey' sign is seen in the radiographic barium examination of:
1. Gastric volvulus
2. Intussusception
3. Sigmoid volvulus
4. Cecal volvulus

Correct answer: 3. Sigmoid volvulus

Explanation: Radiological (X-ray) Characteristics - Markedly dilated sigmoid colon with the appearance of a bent inner tube or coffee bean appearance. - Inferior convergence of the dilated loop points towards left side of pelvis. Whorl sign CT scan. Contrast enema demonstrates the point of obstruction with the pathognomic ' birds beak' or 'bird of prey' or 'ace of spades' sign. Bird beak sign